LGV (lymphogranuloma venerum) is caused by -
1. Treponema pallidum
2. Chlamydia trachomatis
3. Calymmatobacter granulomatosis
4. H Ducreyi

Correct answer: 2. Chlamydia trachomatis

Explanation: Ans. is 'b' i.e., Chlamydia trachomatis GENITAL SORESFeaturesSyphilis (Hardchancre)Chancroid (Soft Chancre)Lympho Granuloma VenereumGranuloma Inguinale (Donovanosis)Hepes InfectionorganismT. pallidum*Haemophilus Ducreyi*Chlamydia trachomatis*Calymmato -bacterium Granulomatis*HSV*Incubation Periodo 9-90 days*o Average 21 days*1-14 days3 days-6 weeks1 -4 weeks2-7 daysClinical featureso Painless indurated papule that may later on turn to ulcero Painful non indurated ulcer (soft chanere)o Painless Papule that often go unnoticed. Sometimes it may ulcerateo Begins as one or more subcuta -nous nodules that erode through skin to produce clean.o Painful papule that ulcerate in 3-6 dayso Systemic symptoms o Painless shottv lymph adenopathyo Painful lymphad- enopathyo After the genital lesion has healed painful matted suppurative lymphadenopathyo Multiple sinus tracts are formed in lymph nodes*o Groove's Sign* - Enlarged nodes are present below and above the inguinal ligamento Vaginal and rectal strictures*o Elephantiasis of valva*Granulomatous sharply defined painless lesionso No lympha- denopathy*o Pseudobubos are seen*fever. Headache malaiseo Inguinal Lymphadeno pathy occurs commonly.Diagnosis Ito test*Frei's intradermal testDonovan bodies